All of the following statements are true for insulinoma except:
1. These are most common pancreatic endocrine neoplasms
2. Mostly are multiple
3. These are benign
4. Deposition of amyloid is characterstic

Correct answer: 2. Mostly are multiple

Explanation: Insulinoma: Beta cell tumors (insulinomas) are most common pancreatic endocrine neoplasms which are benign & may produce sufficient insulin to induce clinically significant hypoglycemia. Ix - High circulating levels of insulin & High insulin-to-glucose ratio. Most often found within pancreas & are mostly solitary M/E -Looks like giant islets, with preservation of regular cords of monotonous cells Deposition of amyloid is a characteristic feature Hypoglycemic attacks -Confusion, Stupor, and Loss of consciousness. Precipitated by fasting or exercise and are promptly relieved by feeding or parenteral administration of glucose. Rx - Surgical resection.